Which of the following phase is absent in action potential of pacemaker cells?
1. Phase 0
2. Phase 1
3. Phase 3
4. Phase 4

Correct answer: 2. Phase 1